Best radiographic view for fracture C1 and C2 vertebra is
1. AP view
2. Odontoid view
3. Lateral view
4. Oblique view

Correct answer: 2. Odontoid view

Explanation: Odontoid view is best to view fractures of C1 & C2.